The laryngeal mask airway used for securing the airway of a patient in all of the following conditions, EXCEPT:
1. In a difficult intubation
2. In cardiopulmonary resuscitation
3. In a child undergoing an elective/routine eye surgery
4. In a patient with a large tumour in the oral cavity

Correct answer: 4. In a patient with a large tumour in the oral cavity

Explanation: Oropharyngeal abscess or mass is a contraindication to the use of laryngeal mask airway. Ref: Short Textbook of Anaesthesia By Ajay Yadav, 2nd Edition, Page 36